Death of a patient due to an unintentional act by doctor, staff or hospital is -
1. Therapeutic misadventure
2. Vicarious liability
3. Therapeutic privilege
4. Diminished liability

Correct answer: 1. Therapeutic misadventure

Explanation: Death due to an unintentional act, e.g. during an investigation or treatment is known as Therapeutic/diagnostic misadventure.